In an act of tribadism, the active partner is known as
1. Bugger
2. Butch
3. Catamite
4. Femme

Correct answer: 2. Butch

Explanation: Ans. Butch